Which of the following is not commonly seen in Hepatocellular carcinoma?
1. Raised AFP
2. Raised ALP
3. Hepatomegaly
4. Jaundice

Correct answer: 4. Jaundice

Explanation: Among the common presenting symptoms of patients with HCC, jaundice is not commonly seen. It is seen only when there is mechanical obstruction of the bile duct. Most of the patients presents with abdominal pain or are completely asymptomatic and are detected on routine laboratory investigation. Hepatomegaly is the most common physical sign. AFP levels are elevated in more than half of the cases. Reference: Harrison's Principles of Internal Medicine 18e chapter 92.